Which of the following statements about Graves disease is false?
1. Results in hyperthyroidism
2. Autoimmune disorder
3. Common in Male
4. Referred as Toxic diffuse goitre

Correct answer: 3. Common in Male

Explanation: Graves' disease: * Autoimmune system disorder * Both men and women get affected; * Yet, 10 times more common in women than men * Affects younger women < 40 years * Results in overproduction of thyroid hormones (hyperthyroidism). * Signs and symptoms: * Anxiety * Irritability * Heat sensitivity * Increased perspiration/ warm and moist skin * Weight loss * Goiter (Glandular enlargement) * Menstrual cycle changes * Erectile dysfunction/ reduced libido * Graves Ophthalmopathy - Bulging eyes - Exophthalmos * Graves dermopathy - Thick, red skin on shins / top of feet. * Antibody for graves disease - Thyrotropin receptor antibody (TRAb) acts on the regulatory pituitary hormone interfering the normal secretion of thyroxine. * TRAb overrides normal regulation causing an overproduction of thyroid hormones (hyperthyroidism). REF : HARRISONS 21ST ED